You decide not to prescribe Sildenafil in a patient because the patient is on an antianginal drug. Which of the following can it be?
1. Calcium channel blockers
2. Beta blockers
3. Organic nitrates
4. ACE inhibitors

Correct answer: 3. Organic nitrates

Explanation: sildenafil and nitrates are contraindicated to be given in combination since both of them cause vasodilation of vessels and can lead to hypotension. Ref: KD Tripathi 8th ed.